Edema in nephrotic syndrome is mainly due to
1. Sodium and water retention
2. Increased Venous pressure
3. Hypoalbuminemia
4. All of the above

Correct answer: 3. Hypoalbuminemia

Explanation: Hypoalbuminemia reduces colloid osmotic pressure leading to activation of RAAS and edema.